Which of the following is the commonest cause of an obliterative stricture of the membranous urethra?
1. Fall-astride injury
2. Gonococcal infection
3. Prolonged catheterization
4. Road-traffic accident with fracture pelvis and rupture urethra

Correct answer: 4. Road-traffic accident with fracture pelvis and rupture urethra

Explanation: Stricture or obliteration of the posterior or membranous urethra most commonly results from urethral disruption at the time of pelvic fracture. Fall stride injury usually causes rupture or stricture of bulbar urethra Gonoccocal infection tends to involve bulbar urethra most commonly Post catheterization stricture can involve any part of urethra Ref: Clinical Surgery By Alfred Cuschieri, 2nd Edition, Page 221; Imaging and Urodynamics of The Lower Urinary Tract By Uday Patel, Page 105.